which is not a radiographic finding of CHF
1. Kerley B lines
2. Kerley A lines
3. Cardiomegaly
4. Oligemia

Correct answer: 4. Oligemia

Explanation: ref : harrisons 21st ed